Which of the following cancers tends to metastatize to the lymphnodes -
1. Follicular Carcinoma
2. Pappilary carcinoma
3. Medullary Carcinoma
4. Thyroid Lymphoma

Correct answer: 2. Pappilary carcinoma

Explanation: Ans. is 'b' i.e., Pappilary carcinoma Papillary Ca thyroido PTC are the most common type of thyroid carcinomao More common in females with female : male ratio of 2 : 1.o Mean age at presentation is 30 to 40 yearso Most common presentation is a painless nodule in neck or a cervical lymph node (lateral aberrant thyroid)o Spread to the lymph nodes is common but blood borne metastasis is unusual.o Multiple foci may occur in the same lobe as the primary tumor or, less commonly in both lobes (this may be due to lymphatic spread in the rich intrathyroidal lymph plexus, or due to multicentric growth)o Diagnosis is confirmed by FNA biopsy of the thyroid mass or lymph node.Important points about thyroid malignancy: Least MalignantPapillary CaMost MalignantAnaplastic CaMC type of thyroid cancer after radiationPapillary Ca*Latent period for radiation induced thyroid CaAbout 30 yrs*Type of thyroid cancer assoc with MEN syndromeMedullary Ca*Thyroid Ca assoc with amyloidosisMedulalry Ca*Thyroid Ca assoc with dystrophic calcificationPapillary*Psammoma bodies are seen inPapillary Ca*Orphan Annie-eyed nuclei are seen inPapillary Ca*Thyroid cancer occurring in longstanding multinodular goitreFollicular Ca*Carcinoma derived from the C cells of thyroidMedullary*